A 35-yr-old patient is having carcinoma lung with a past history of lung disease. Which of the following drugs should not be given?
1. Vinblastine
2. Bleomycin
3. Mithramycin
4. Adriamycin

Correct answer: 2. Bleomycin

Explanation: Ref: KDT 6/e p827 Bleomycin can cause pulmonary fibrosis. It should be avoided in patients of lung disease.